Primary Structural defect of an organ is termed:
1. Malformation
2. Disruption
3. Deformation
4. Association

Correct answer: 1. Malformation

Explanation: Primary structural defect of an organ is called as malformation. Primary malformations are caused by endogenous disturbances of the primordial tissues. Secondary malformations (disruptions) arise when organs develop abnormally from a normal primordium. Ref: Tanley L. Robbins, Ramzi S. Cotran, (2012) , Chapter 1, "Cell Injury", In the book, "Pocket Companion to Robbins and Cotran Pathologic Basis of Disease", 8th Edition, USA, Page 27 ; Robbin's Basic Pathology, 7th Edition, Pages 470-71